Which of the following is the most common type of Glial tumors ?
1. Astrocytomas
2. Medulloblastomas
3. Neurofibromas
4. Ependymomas

Correct answer: 1. Astrocytomas